What is the treatment of choice in severe flail chest ?
1. IPPV
2. Strapping
3. Wiring
4. Nasal Oxygen

Correct answer: 1. IPPV

Explanation: In severe flail chest,the treatment of choice is Ventilator support with IPPV(intermittent positive pressure ventillation).Assisted ventilation is required for several days until the chest wall stabilises.If ventilator support is required for more than 10 days,then tracheostomy is done to prevent laryngeal stenosis which can occur due to prolonged endotracheal intubation. Reference:SRB's manual of surgery,5th edition,page no:1116